Rothera's test is for
1. Ketone bodies
2. Proteins
3. Glucose
4. Fatty acids

Correct answer: 1. Ketone bodies

Explanation: Rothera's test is for Ketones in urine. Only acetone and acetoacetic acid can be detected using the Rotheras. Beta hydroxyl butyric acid is not detected. Ref: Biochemistry by U. Satyanarayana 3rd edition Pgno : 293